According to Galstaun method, iliac crest fuses in females at the age of:
1. 13-15 years
2. 15-17 years
3. 17-19 years
4. 19-20 years

Correct answer: 3. 17-19 years

Explanation: Ans. c. 17-19 years According to Galstaun method, iliac crest fuses in females at the age of 17-19 years. Galstaun 1937 On Bengalis (Indian): Epiphyseal Fusion in Iliac Crest; Male: 19-20 years and Female: 17-19 years.' Estimation of Age from Epiphyseal Fusion in Iliac Crest (J Indian Acad Forensic Med. Jan-Mar 2011, Vol. 33, No. 1) Table no. 4 Galstaun G observed fusion of iliac crest in bengalee girls, between 17-19 years which is earlier. Dasgupta et al in Uttar Pradesh found fusion of the iliac crest at 19-20 years, which is similar with majority of the cases in this study. Sank/cyan S et al in Himachal Pradesh found fusion of the iliac crest in girls at 21 years which is a little later than the finding in this study.'